Which of the following vasculitis is ANCA negative
1. Microscopic polyangitis
2. Churg straus syndrome
3. Granulomatosis with polyangitis
4. Polyarteritis nodosa

Correct answer: 4. Polyarteritis nodosa

Explanation: ANCAs are not seen in Polyarteritis nodosa.